Edmund Locard is known for his :
1. System of personal identification using the body measurement
2. Finger print study
3. Formula for estimation of stature
4. Theory of exchange

Correct answer: 4. Theory of exchange

Explanation: D i.e. Theory of exchange